Which of the following are masculinizing tumors of the ovary:
1. Granulosa cell tumor
2. Dysgerminoma
3. Dermoid Cyst
4. Arrhenoblastoma

Correct answer: 4. Arrhenoblastoma

Explanation: Masculinizing Tumors develop from Sex cord of Embryonic gonad and include
• Arrhenoblastoma/Androblastoma Hilus cell Tm
• Adrenal cortical Tm/Lipoid cell Tm of ovary
• Gynandroblastoma